”HOT SPOT” is the region of antibody which is also called
1. hinge portion
2. hypervariable region
3. constant region
4. disulphide bond rich region

Correct answer: 2. hypervariable region